Most popular theory is the
1. Hydrodynamic theory
2. Direct nerve stimulation
3. Transduction Theory
4. All are equally popular

Correct answer: 1. Hydrodynamic theory